Spleen projects into the following space of peritoneal cavity?
1. Paracolic gutter
2. Infracolic compartment
3. Left subhepatic space
4. Greater Sac

Correct answer: 4. Greater Sac

Explanation: Being developed in the dorsal mesogastrium, the spleen projects into the greater sac surrounded by peritoneum of the original leaf of the dorsal mesogastrium."- Last's Anatomy